Age related dementia has been associated with increased levels of
1. Homocysteine
2. Cysteine
3. Tourine
4. Methionine

Correct answer: 1. Homocysteine

Explanation: Identification of modifiable risk factors provides a crucial approach to the prevention of dementia.. The findings are consistent with moderately raised plasma total homocysteine (>11 mmol/L), which is common in the elderly, being one of the causes of age-related cognitive decline and dementia Ref Harrison20th edition pg 2445